Which of the following is/are an example/examples 0f non-Mendelian inheritance?
1. Genomic imprinting
2. Uniparental disomy
3. Mitochondrial inheritance
4. All of the above

Correct answer: 4. All of the above

Explanation: Non-Mendelian inheritance is any pattern of inheritance in which traits do not segregate in accordance with Mendel's laws. These laws describe the inheritance of traits linked to single genes on chromosomes in the nucleus. In Mendelian inheritance, each parent contributes one of two possible alleles for a trait Such as genomic imprinting, uniparental disomy, mitochondrial inheritance Ref Robbins 9/e pg 171